The pathognomonic sign of acute iridocyclitis is:
1. Small pupil
2. Aqueous flare
3. Keratic precipitates
4. All of the above

Correct answer: 3. Keratic precipitates

Explanation: Ans. Keratic precipitates